Spinal anesthesia is given at which of the following levels
1. L1-2
2. L2-4
3. Midline of thorax
4. Below L5

Correct answer: 2. L2-4

Explanation: Spinal anesthesia is usually injected at L2-L3, L3-L4